Which of the following drugs should not be given with tyramine as it may result in a dangerous reaction?
1. Selegiline
2. Meperidine
3. Tranylcypromine
4. Dextromethorphan

Correct answer: 3. Tranylcypromine